A patient with chronic liver disease developed spider naevi dilation on chest. It may be due to excess of the following hormone:
1. Estrogen
2. Testosterone
3. Aldosterone
4. Hepatotoxin

Correct answer: 1. Estrogen

Explanation: The spider nevus, or spider angioma, is the most representative and classic vascular lesion of chronic liver disease. Clinically, it has a central arteriole from which numerous small, twisted vessels radiate. Vascular spider nevi and palmar erythema are generally attributed to estrogen excess, particularly because they also occur during pregnancy and because estrogens have an enlarging, dilating effect on the spiral arterioles of the endometrium. This would also explain spider nevi in men receiving estrogen therapy for prostatic cancer. Ref: Johnston G.A., Graham-Brown R.A. (2012). Chapter 150. The Skin and Disorders of the Alimentary Tract, the Hepatobiliary System, the Kidney, and the Cardiopulmonary System. In L.A. Goldsmith, S.I. Katz, B.A. Gilchrest, A.S. Paller, D.J. Leffell, N.A. Dallas (Eds), Fitzpatrick's Dermatology in General Medicine, 8e.